'Prepatent period' in lymphatic filariasis is defined as the time interval between inoculation of infective larvae and -
1. Blockage of lymphatics
2. First appearance of detectable microfilaria
3. Development oflymphoedema
4. Development of adult worm

Correct answer: 2. First appearance of detectable microfilaria

Explanation: Ans. is 'b' i.e., First appearance of detectable microfilaria o The time interval between inoculation of infective larvae and first appearance of detectable microfilaria is known as "prepatent period". o The time interval from invasion of infective larvae to the development of clinical manifestations is known as the "clinical incubation period" --> It is commonly 8-16 months.